All the following are hormonal agents used against breast cancer except:
1. Letrozole
2. Exemestane
3. Taxol
4. Tamoxifen

Correct answer: 3. Taxol

Explanation: Ans. (C) Taxol(Ref: Katzung 10th/897, 903, 904; KDT 8th/e p337-340)Letrozole, anastrozole and exemestane are aromatase inhibitors useful for the treatment of tamoxifen resistant breast carcinoma.Taxomifen is a SERM. It is also used for breast cancer.Taxol is commonly used term for paclitaxel. It is a cytotoxic drug (not hormonal).